The most common side effect of cancer chemotherapy is nausea with or without vomiting. The anticancer drugs vary in their ability to cause nausea and vomiting. Which of the following anti-cancer drugs is least likely to cause nausea and vomiting?
1. Chlorambucil
2. Cisplatin
3. Doxorubicin
4. Daunorubicin

Correct answer: 1. Chlorambucil

Explanation: Ans. a. Chlorambucil Emetogenic Potential of Cytotoxic drugs High Moderate Mild CisplatinQ Carboplatin Bleomycin CarmustineQ Cytarabine ChlorambucilQ CyclophosphamideQ Procarbazine Busulfan Actinomycin DQ Vinblastin 5-Fluorouracil DacarbazineQ DoxorubicinQ 6-Thioguanine LomustineQ DaunorubicinQ Hydroxyurea Ifosfamide Vincristine 6-Mercaptopurine Methotrexate Paclitaxel Etoposide L-asparaginase